All are seen in carpal tunnel except ?
1. Median nerve
2. Ulnar nerve
3. FPL
4. FDP

Correct answer: 2. Ulnar nerve

Explanation: Ans. is 'b' i.e., Ulnar nerve Contents of carpal tunnel are 1 nerve and 9 tendons :- i) Median nerve ii) 4 tendons of flexor digitorum profunds. iii) 4 tendons of flexor digitorum superficialis. iv) 1 tendon of flexor pollicis longus.